Whole hand burns represent what percentage of total body surface area:
1. 1%
2. 9%
3. 18%
4. 27%

Correct answer: 1. 1%

Explanation: Ans: A i.e. 1% Percentage of burns The patients whole hand is 1% TBSA, and is a useful guide in small burns Each upper limb and head & neck is 9% as per rule of nine Each lower limb & torso, each side is 18%